A reflex that if once appears, never disappears is:
1. Moro's Reflex
2. Parachute reflex
3. Symmetric Tonic neck reflex
4. Asymmetric Tonic neck reflex

Correct answer: 2. Parachute reflex

Explanation: Parachute reflex is a reflex that if once appears, never disappears.